Preferred cycloplegic drug in a 1 year old child is:-
1. Atropine oral
2. Atropine eye ointment
3. Tropicamide eye drops
4. Phenylephrine eye drops

Correct answer: 2. Atropine eye ointment

Explanation: In children the tone of ciliary muscle is very high, so we have to give a drug which is a strong cycloplegic drug - Atropine. Atropine is given in the form of eye ointment because even if we give it in form of eye drops, it can be absorbed through nasolacrimal duct, and there will be hyperthermia risk. Cycloplegic DOC in 1 yr old child - Atropine (longest acting cycloplegic) Cycloplegic DOC in Adults- Tropicamide (shortest acting cycloplegic)